Drugs used in the treatment of schizophrenia have in common their ability to?
1. Block a-adrenergic receptors in the locus ceruleus
2. Block dopamine receptors in the brain
3. Sensitize the dopamine receptors in the locus ceruleus
4. Increase functional levels of norepinephrine in the synapses

Correct answer: 2. Block dopamine receptors in the brain

Explanation: All antipsychotic agents except rauwolfia alkaloids block dopamine receptors in the brain. Locus coeruleus is the site of most noradrenergic neurons in the brain. The dopaminergic neurons in the brain are primarily found in three areas ;the basal ganglia (nigrostriatal tract), the midbrain (mesolimbic tract), and the hypothalamus. Ref: Nurnberger, Jr. J.I. (2008). Chapter 3. Psychiatric Genetics. In M.H. Ebe, P.T. Loosen, B. Nurcombe, J.F. Leckman (Eds), CURRENT Diagnosis & Treatment: Psychiatry, 2e.